Coloured haloes are found in all except:
1. Pigmentary glaucoma
2. Acute-angle-closure glaucoma
3. Cataract
4. Uveitis

Correct answer: 4. Uveitis

Explanation: Ans. Uveitis